Spastic ileus is seen in:
1. Porphyria
2. Retroperitoneal abscess
3. Hypokalemia
4. MI

Correct answer: 1. Porphyria

Explanation: Spastic Ileus Spastic ileus or dynamic ileus is rare, results from extreme and prolonged contraction of the intestine Spastic ileus is seen in: Heavy metal poisoning Uremia Porphyria Extensive intestinal ulceration Ref: Harrison 19th edition Pgno: 1982